All of the following are associated with Kartagener syndrome (immotile cilia syndrome) except:
1. Bronchiectasis
2. Sterility
3. Chronic sinusitis
4. Cleft palate

Correct answer: 4. Cleft palate

Explanation: Kartagener syndrome consists of bronchiectasis, chronic sinusitis, sterility and situs inversus. It is a disorder of ciliary motility. There is a genetic defect in the dynein complexes of axonemes.